Which of the following malignant tumors is radioresistant?
1. Ewing's sarcoma
2. Retinoblastoma
3. Osteosarcoma
4. Neuroblastoma

Correct answer: 3. Osteosarcoma

Explanation: Osteosarcoma is a radioresistant tumor; therefore treatment focuses on chemotherapy and surgery. Ref: Encyclopedia of Cancer, Volume 1, By Manfred Schwab, 2008, Page 2201; Article: Parthenolide and Ionizing Radiation Synergistically Induce Cell Death in LM7 Osteosarcoma Cells, 2012.